Maximum dose of lignocaine with adrenaline (in mg/kg) -
1. 4
2. 5
3. 7
4. 10

Correct answer: 3. 7

Explanation: Ans. is 'c' i.e., 7 mg/kg o Maximum safe dose of plain lidocaine- 300 mg (4[?]5 mg'kg).o Maximum safe dose of lidocaine with epinephrine- 500 mg (7 mg.'kg).